Drugs with high affinity can be used in :
1. High concentration.
2. Low concentration.
3. Moderate concentration.
4. None.

Correct answer: 2. Low concentration.

Explanation: Affinity is the ability of a drug to combine with the receptor.